Which is the predominant factor in the formation of the alveolar process:
1. Eruption of teeth
2. Normal process of growth
3. Lengthening of the condyle
4. Overall growth of the bodies of the maxilla and the mandible

Correct answer: 1. Eruption of teeth